Ebstein Barr virus has been implicated in the following malignancies except:
1. Hodgkin's disease
2. B-cell lymphoma
3. Nasopharyngeal carcinoma
4. Multiple myeloma

Correct answer: 4. Multiple myeloma

Explanation: EBV is associated with many tumors like: Burkitt's lymphoma B- cell lymphoma Hodgkin's lymphoma Nasopharyngeal carcinoma